Basic form of a lingual bar major connector is:
1. Half pear-shaped.
2. Pear shaped.
3. Straight bar.
4. Any of the above, depending upon the conditions.

Correct answer: 1. Half pear-shaped.

Explanation: Lingual bar
• The basic form is half pear shaped bar, with the broadest portion at the inferior border of the bar.
• At least 8 mm of vertical space should be present between the active tissues of the floor of the mouth and gingival margins. The more inferior is the placement of lingual bar; less is the interference to the tongue.
• It is the first preference in the selection of lingual major connector.
• Surgical removal of the tori is usually required for a successful prognosis.
• It has minimal contact with the oral tissues.
• The sulcus must be relieved.
• Sublingual bar is the modification of the lingual bar. It is placed inferior and posterior to that of lingual bar.